Omalizumab is indicated for which of the following conditions :
1. Multiple myeloma
2. Psoriasis
3. Bronchial asthma
4. Rheumatoid arthritis

Correct answer: 3. Bronchial asthma